Gissane's angle in the intraarticular fracture of Calcaneum-
1. Reduced
2. Increased
3. Not changed
4. Variable

Correct answer: 2. Increased

Explanation: *Bohler's angle is reduced in intra-articular calcaneal fracture. *Crucial angle of Gissane is increased in intra-articular calcaneum fractures. Ref : Ebnezar 4th ed pg.293